Most sensitive and specific investigation for screening of Renovascular hypertension
1. MRI
2. Captopril enhanced radionuclide scan
3. Spiral CT angiography (CTA)
4. Duplex - Doppler flow study

Correct answer: 3. Spiral CT angiography (CTA)

Explanation: C i.e. Spiral CT Scan (CTA) - The presence of arterial collaterals indicates that renal artery stenosis is hemodynamically significantQ. The diameter of stenotic segment may also give an indication of hemodynamic significance, but is only reliable if the stenosis is either very severe or minimal. Conventional contrast renal arteriography (or digital substraction angiography or intraarterial catheter angiography) is the gold standard for diagnosis of renal artery stenosisQ against which all other modalities are compared. On angiography, the presence of collateral vessels to the ischemic kidneyQ suggest a functionally significant lesion (i.e. a lesion that occludes >70% of lumen of affected renal artery). A lateralizing renal vein renin ratio (>1.5 of affected side/contralateral side) has a 90% predictive value for a lesion that would respond to vascular repair and result in BP control. After percutaneous arteriography, the next most sensitive and specific screening test for diagnosis of RAS is CT angiographyQ (using spiral and more recently multidetector CT) almost equvalent to DSA. However, it requires use of large amount of iodinated contrast medium (like IVP) precluding its use in renal insufficiency and also exposes to ionizing radiation. - Captopril enahanced radionuclide renal scintigraphy, is most widely performed screening test for diagnosis of renovascular hypertension, (neither most sensitive nor most specific). 99mTcMAG 3 is slightly preferred over 99mTc-DTPA; 131IOIH is not used now. It can be used as screening test to establish hemodynamic significance of RAS, to predict the outcome of revascularizaation and in the follow up after successful revascularization. Disadvantages include low sensitivity in patients with azotemia or underlying renal dysfunction & with bilateral RAS. Branch artery stenosis cannot be diagnosed and provides functional not anatomical data. Summary: The decreasing order of sensitivity & specificity for diagnosis of renal artery stenosis (related renovascular hypertension) is conventional contrast / intraarterial-catheter angiography >CT angiography (using spiral/MDCT) > CE-MRA (dynamic) > SSFP non contrast. enhanced MRA > captopril enhanced radionuclide renal scintigraphy (99mTcMAG3 and 99mTcLLEC preferred over 99mTcDTPA). All have their pros & cons.